Pulse pressure in severe aortic regurgitation is equal to-
1. 30-45 mmHg
2. 45-60 mmHg
3. 60-75 mmHg
4. 75-90 mmHg

Correct answer: 4. 75-90 mmHg